Sertoli cells have receptors for which of the following hormone?
1. FSH
2. LH
3. Inhibin
4. Progesterone

Correct answer: 1. FSH

Explanation: Sertoli cells serve as "nurse" cells for spermatogenesis, nourishing germ cells as they develop. They also participate in germ cell phagocytosis. High-affinity FSH receptors exist on Sertoli cells and FSH binding induces the production of androgen-binding protein, which is secreted into the tubular luminal fluid. By binding testosterone, androgen-binding protein ensures that high levels of androgen (20-50 times that of serum) exist within the seminiferous tubules. Ligand-receptor complexes, such as c-kit and kit ligand, may also mediate communication between germinal and Sertoli cells. Ref: Turek P.J. (2008). Chapter 44. Male Infertility. In E.A. Tanagho, J.W. McAninch (Eds), Smith's General Urology, 17e.